Which of the following is false about digoxin?
1. Dosage reduction is required in hepatic disease
2. Dosage reduction is required in renal failure
3. It can cause bradycardia
4. It increases the force of contraction in CHF

Correct answer: 1. Dosage reduction is required in hepatic disease